In a post-mastectomy patient, the suction drain is accidentally removed on 2nd post-operative day and the lady started to have ooze with swelling in the chest. Next option in management in this case is:
1. Open incision and pack with saline gauze
2. Aspiration under aseptic conditions and do pressure dressing
3. Re-insert the drain
4. Wait and watch

Correct answer: 2. Aspiration under aseptic conditions and do pressure dressing

Explanation: SEROMA: Accumulation of fluid beneath flap.occurs as a complication after MRM Drains are removed when output is <40cc/day for 2 consecutive days Accidental removal of drain - discharge of serous material. Management of Seroma: Aspiration under aseptic conditions and do pressure dressing Seromas increase risk of infections and lymphedema - hence, wait and watch is not a management option.